Most common cause of hemobilia
1. Trauma
2. Iatrogenic
3. Parasites
4. Tumors

Correct answer: 2. Iatrogenic

Explanation: Hemobilia Bleeding into the biliary tract from an abnormal arterial source to intrahepatic biliary tract fistula Portal venous bleeding into the biliary tree is rare, minor and selflimited Arterial hemobilia is the most common source Etiology Trauma : Iatrogenic (PTC) is the most common cause, blunt trauma is more common cause than penetrating trauma Gallstones Vascular pathology : Aneurysm, angiodysplasia, Parasitic infestation, liver abscess, cholangitis Ref: Sabiston 20th edition Pgno :1472-1474